Atomoxetine is used for ?
1. Nocturnal enuresis
2. ADHD
3. Temper tantrums
4. Patent ductusarteriosus

Correct answer: 2. ADHD

Explanation: Ans. is 'b' i.e., ADHD Atomoxetine it is selective norepinephrine reuptake inhibitor and is approved for use in ADHD. It is indicated in children > 6 years and in adults with concentration and attention problems. Atomoxetine absorbed orally, hydroxylated by CYP2D6 and excreted in urine, mainly as glucuronide. While majority of individuals are extensive metabolizers (EM), few are poor metabolizers (PM) due to polymorphism of CYP2D6. Inhibitors of CYP2D6 like fluoxetine, paroxetine, quinidine increase concentration and toxicity of atomoxetine. It should not be given with MAO inhibitors and is contraindicated in glaucoma.